If the prevalence is low as compared to the incidence of disease, it implies
1. Disease is very fatal and/or easily curable
2. Disease is non fatal
3. Assumption is wrongly framed
4. Nothing can be said, as they are independent

Correct answer: 1. Disease is very fatal and/or easily curable